Rokitanski-Kuster Hauser syndrome is associated with:
1. Ovarian agenesis
2. Absent fallopian tube
3. Vaginal atresia
4. Bicornuate uterus

Correct answer: 3. Vaginal atresia

Explanation: Answer is C (Vaginal atresia) : Congenital hypoplasia or absence of vagina in combination with an abnormal or absent uterus is called Meyer Rokitansky Kuster Houser Syndrome. This is the second most common cause of Primary amenorrhea after gonadal dysgenesis.